WHO global programme for oral health targets for 2000 irtclude;
1. <2 DMFT at 12 years
2. <3 DMFT at 12 years
3. <4 DMFT at 12 years
4. <5 DMFT at 12 years

Correct answer: 2. <3 DMFT at 12 years